Gastric secretions are increased by all of the following except
1. Somatostatin
2. Histamine
3. Vagal stimulation
4. Gastrin

Correct answer: 1. Somatostatin

Explanation: Somatostatin released by D cells(located adjacent to G cells)inhibits gastrin secretion by G cells. -Vagal stimulation inhibits release of somatostatin & thus indirectly stimulates H+ secretion by removing inhibitory effect of somatostatin on parietal cells. -Histamine increases H+ secretion by acting on H2 receptors on parietal cells. -Gastrin is a hormone secreted by G cells into blood circulation. It stimulates secretory activity of parietal cells & chief cells. Reference: Medical Physiology, Indu Khurana